Amsler's sign is seen in:
1. Posner-Schlossman syndrome
2. Pars planitis
3. Macular degeneration
4. Fuch's uveitis

Correct answer: 4. Fuch's uveitis

Explanation: Ans. Fuch's uveitis